Enzyme activated by covalent phosphorylation is
1. Glycogen phosphorylase
2. Acetyl CoA carboxylase
3. HMG CoA reductase
4. Pyruvate carboxylase

Correct answer: 1. Glycogen phosphorylase

Explanation: Glycogen phosphorylase removes glucose as glucose-1-phosphate from glycogen(phosphorolysis). It contains pyridoxal phosphate as a prosthetic group.Ref: DM Vasudevan, 7th edition, page no: 124